Test of choice for Reversible Myocardial Ischemia?
1. Thallium scan
2. MUGA scan
3. Resting ECHO
4. Coronary angiography

Correct answer: 1. Thallium scan

Explanation: A i.e. Thallium Scan